True colour of cholesterol stone is
1. Black
2. Brown
3. Dark yellow
4. Pale yellow

Correct answer: 4. Pale yellow

Explanation: Cholesterol stones Cholesterol stone contains almost entirely cholesterol It is often solitary, pale and yellow in colour Ref: Sabiston 20th edition Pgno :1492